Sertoli cell secretes which hormone:
1. Testosterone
2. Inhibin.
3. LH
4. FSH

Correct answer: 2. Inhibin.

Explanation: Ans. B InhibinRef: Ganong Physiology, 24th ed. pg. 419 and 420; Guytons Physiology, 11th ed. pg. 1007* The walls of the seminiferous tubules are lined by primitive germ cells and Sertoli cells.* Maturation of spermatozoa takes place in deep folds of the cytoplasm of the sertoli cells.* Mature spermatozoa are released from the Sertoli cells and become free in the lumens of the tubules. The sertoli cells secrete androgen binding protein (ABP), inhibin, and MIS.* Inhibin inhibits follicle-stimulating hormone (FSH) secretion.* Inhibin also has a strong direct effect on the anterior pituitary gland to inhibit the secretion of FSH and possibly a slight effect on the hypothalamus to inhibit secretion of GnRH.Extra Mile* Testosterone, secreted by the Ley dig cells* Luteinizing hormone- Secreted by anterior pituitary gland, stimulates the Leydig cells to secrete testosterone.* FSH- also secreted by the anterior pituitary gland, stimulates the Sertoli cells; essential for spermatogenesis.